Following is the most severe adverse effect of halothane -
1. Asthma
2. Hepatitis
3. Tachycardia
4. Hypertension

Correct answer: 2. Hepatitis

Explanation: Ans. is 'b' i.e., Hepatitis Halothaneo It is a volatile liquid with sweet odour, nonirritating and noninflammable.o It is a potent anaesthetic with poor analgesic and muscle relaxant properties.o Halothane causes direct depression of myocardial contractility by reducing intracellular Ca+2.o It causes fall in BP and CO.o Heart rate decreases due to vagal stimulation.o It tends to sensitize the heart to arrhythmogenic action of adrenaline - contraindicated in pheochromocytoma.o It causes greater depression of respiration and ventilation perfusion mismatch.o It dilates the bronchi - inhalation agent of choice in asthmatics (intravaneous anaesthetic of choice in asthmatics is ketamine).o It is a hepatotoxic drug and can also cause malignant hyperthermia (Succinylcholine accentuate it).o Recovery is smooth and reasonably quick.o It causes postanaesthetic shivering and chills.o It inhibits intestinal and uterine contractions - agent of choice for assisting external or internal version during late pregnancy.o Because its uterine relaxant action it is contraindicated during labour.o It is particularly suitable for induction and maintenance in children and as maintenance anaesthetic in adults.Adverse effects of halothaneo Decreases mycocardial activity and cardiac ouput - contraindicated in severe cardiac disease.o Hypotension - Contraindicated in hypovolemiao Bradychardiao Propensity to sensitize the heart to arrhythmogenic action of adrenaline Epinephrine should be avoided in doses above 1.5 g/kg.o Halothane causes direct hepatotoxicity (hepatitis, hepatic necrosis) - Contraindicated in patients with acute hepatic disease & Jaundice.o Halothane causes post anaesthetic shivering, and chills (Halothane shakes) - Maximum propensity amongst inhalational agents.o Post partum hemorrhage (PPH) can occur - contraindicated in labor.